Unicollisis bicornis means:
1. Two uterine cavity with one cervix
2. Single vagina with double uterus
3. Incomplete septum of uterus
4. Double uterus and double cervix

Correct answer: 1. Two uterine cavity with one cervix

Explanation: Unicollis bicornis:The two cornua of the uterus are seperate in the region of the body ,but there is a single cervix and vagina Bicornis bicollis:the vagina is single,but the two cornua of uterus remain seperate ,and two complete cervices project into vagina. SHAW'S TEXTBOOK OF GYNAECOLOGY,Pg no:99,15th edition